Schwartz sign seen in:
1. Glomus Jugulare
2. Otosclerosis
3. Meniere's diseases
4. Acoustic neuroma

Correct answer: 2. Otosclerosis

Explanation: In Otosclerosis on OtoscopyTympanic membrane is normal in appearance mostly, middle ear space is well pneumatized and malleus moves with pneumatic otoscopy (i.e. mobility is normal)Sometimes a reddish hue / Flammingo-pink may be seen on the promontory and oval window niche owing to the prominent vascularity associated with an otospongiotic focus. This is known as Schwartz sign.